Increased oxygen delivery to tissues in response to increased CO2 is
1. Bohr effect
2. Haldane effect
3. Hamburger effect
4. Chloride shift

Correct answer: 1. Bohr effect

Explanation: The Bohr effect is a physiological phenomenon first described in 1904 by the Danish physiologist Christian Bohr: hemoglobin's oxygen binding affinity is inversely related both to acidity and to the concentration of carbon dioxide Ref: guyton and hall textbook of medical physiology 12 edition page number:353,354,355